Resonance of tympanic membrane -
1. 800
2. 800-1600
3. 3000K
4. None

Correct answer: 2. 800-1600